Most common nerve involvement in fracture surgical neck humerus -
1. Axillary nerve
2. Radial nerve
3. Ulnar nerve
4. Median nerve

Correct answer: 1. Axillary nerve

Explanation: Axillary nerve is particularly vulnerable, both from the injury and from surgery.